Volume of ovary after menopause is -
1. 7[?]8 Cm2
2. 6[?]5 Cm2
3. 5[?]4Cm2
4. 3[?]0Cm2

Correct answer: 4. 3[?]0Cm2

Explanation: Ans. is 'd' i.e., 3[?]0 Cm2 Volume of ovary can be calculated based on a simple formula:Volume = 1/2 x Length x height x widthOvarian Volume in womenParity or menopausal status0 para x (SD)Cm21 para x (SD)Cm22 para x (SD) Cm2Menopausal </= 5 years (SD) Cm2Menopausal > 5 years (SD) Cm2Right ovarian volume7[?]87[?]87[?]83[?]42[?]5Left ovarian volume7[?]47[?]77[?]53[?]82[?]5Thus the most close answer is 3 cm 2.